Sperms become motile in:
1. Prostate
2. Seminal vesicles
3. Epididymis
4. Vas deferens

Correct answer: 3. Epididymis

Explanation: C i.e. Epidydmis- Spermatogenesis & MeiosisQ occurs in seminiferous tubulesQ. Sperms are stored, matured and gain motility in epididymisQ. Capacitation of sperm occur in female genital tractQ.